A 30 Yr old male presents to emergency department with symptoms of epigastric pain radiating to back that wakes him up at night and is relieved by consuming food. He gives history of similar pain in the past which was diagnosed as perforated duodenal ulcer and treatment with omental patch surgery on two occasions.. Pain before and after surgery has been controlled with proton pump inhibitors and analgesics. The likely diagnosis on this occasion is
1. Duodenal ulcer
2. Gastric ulcer
3. Atrophic gastritis
4. Chronic pancreatitis

Correct answer: 1. Duodenal ulcer